Gynecomastia is not associated with which of the following?
1. Use of Anabolic steroids
2. A person with (45, XO) karyotype
3. Alcoholic cirrhosis
4. Antiretroviral therapy

Correct answer: 2. A person with (45, XO) karyotype

Explanation: Gynecomastia Gynecomastia is the enlargement of the male breast Benign lesion Occurs as a result of an imbalance between estrogens, which stimulate breast tissue, and androgens, which counteract these effects May appear during puberty, in the very aged, or at any time during adult life when there is cause for hyperestrinism, the most important of these is cirrhosis of the liver Drugs such as alcohol, marijuana, heroin, antiretroviral therapy, and anabolic steroids have been associated with gynecomastia. Rarely, gynecomastia occurs as part of Klinefelter syndrome (47, XXY karyotype) or in association with functioning testicular neoplasms, such as Leydig cell or Sertoli cell tumors. Breast development is defective in Turner syndrome (45, XO karyotype).